Percentage of tin in low copper alloy is
1. 30-35%
2. 26-28%
3. 13-32%
4. 22-30%

Correct answer: 2. 26-28%